Chlamydia does not cause
1. Trachoma
2. Salpingitis
3. Q fever
4. Non gonococcal urethritis

Correct answer: 3. Q fever

Explanation: Chlamydiae doesn't cause 'Q'fever, infact 'Q'fever is caused by coxiella burnetii belongs to family Rickettsiaceae...it is referred to as 'Q' fever in which 'Q' renders to query...as the causative organism was unknown during 1930's,'Q' fever is distributed worldwide as a zoonosis solidly established in domestic livestock,so infection occur in who handle wool,hides,meat and other animalproducts contaminated with the organism Ref:Ananthnarayan and paniker's microbiology 10th edition